Smell of bitter almonds is seen in poisoning with :
1. Phosphorus
2. Hydrocyanic acid
3. Nitric acid
4. Oxalic acid

Correct answer: 2. Hydrocyanic acid

Explanation: B i.e. Hydrocyanic acid